A 35-year-old patient on USG shows 3x4 cm clear ovarian cyst on right side. Next line of management is:
1. Laparoscopy
2. OC pills
3. Wait and watch
4. Ca-125 estimation

Correct answer: 3. Wait and watch

Explanation: Ans. is c, i.e. Wait and watchRef: Novak 14th/ed, p472The patient is premenopausal and has a 3x4cm clear ovarian cyst, so she is best managed by giving OC pills for 1-2 cycles and then repeating the USG.Note: OCP's are not given routinely for ovarian masses as trey decrease the risk of developing new cysts but do not hasten the resolution of existing cyst